Which of the following is a zone observed in hard palate
1. Fatty zone
2. Glandular zone
3. Gingival region
4. All of the following

Correct answer: 4. All of the following

Explanation: The following zones can be observed in hard palate 

Gingival region, adjacent to the teeth.
Palatine raphae, also known as median area, extending from the incisive papillae or palatine papillae posteriorly.
Anterolateral area or fatty zone between the raphae and gingiva.
Pcsterolateral area or glandular zone between the raphae and gingiva.